62. Growth sites in maxilla is / are
1. maxillary tuberosity
2. sutures
3. nasal septum
4. all of the above

Correct answer: 4. all of the above